Neurotransmitter employed by rods and cones is
1. Dopamine
2. Serotonin
3. Glutamate
4. Nitric oxide

Correct answer: 3. Glutamate